Knudson's two stage hypothesis is for-
1. Glaucoma
2. Retinoblastoma
3. Optic glioma
4. Meningioma

Correct answer: 2. Retinoblastoma

Explanation: *Deletion or inactivation of RB gene by two mutations (knudson's two hit hypothesis) results in occurence of retinoblastoma. Ref: Khurana 7th/e p.314.